Bioavailability is:
1. Amount of drug that reach the systemic circulation
2. Drug metabolized in liver before the drug reaches the systemic circulation
3. Drug metabolized in liver after the drug reaches the systemic circulation
4. Maximum by rectal route

Correct answer: 1. Amount of drug that reach the systemic circulation